Not a factor important for substance dependence?
1. Personality
2. Family history
3. Peer pressure
4. Intelligence

Correct answer: 4. Intelligence

Explanation: D i.e. Intelligence Substance abuse and dependence depends on genetic predisposition, family interactions & history of substance abuse disorder, peer pressure and personality (antisocial personality disorder, anxiety disorder, depressive disorder). But it has nothing to do with intelligenceQ. In other words, under peer pressure an anxious son of drug addict father is highly like to abuse drugs despite his intelligence level.